Which lipoprotein levels are indirectly proportional to coronary artery disease?
1. HDL
2. LDL
3. Cholesterol
4. TG

Correct answer: 1. HDL

Explanation: Ans: A (HDL) Ref: Harrison's 18th edn. pg 1987: Davidson 21st edn. pg 451Explanation:Increased levels of atherogenic lipoproteins, especially LDL, IDL, lipoprotein (a) and chylomicron contribute to the development of atherosclerosisTheir increased plasma concentration and reduced diameter favor sub endothelial accumulation of these lipoproteinsAfter oxidation, they are not cleared normally, trigger an inflammatory responseThey are taken up by macrophages to form foam cells, which have abnormal effect on the endotheliumHDL removes cholesterol from the tissues to the liver, where it is metabolized and excreted in bileHDL also counteracts some components of the inflammatory response, such as expression of vascular adhesion molecules by the endothelium.Low HDL associated with high TG predispose to atherosclerosis and CAD